In multibacillary leprosy, the follow-up examination after adquate Rx should be done early for -
1. 3 years
2. 5 years
3. 10 years
4. 2 years

Correct answer: 2. 5 years